Which of the following is the mechanism for a decrease in splanchnic blood flow during exercise?
1. Venoconstriction with decreased blood flow
2. Venodilation with decreased blood flow
3. Venodilation with increased blood flow
4. Venodilation with normal blood flow

Correct answer: 1. Venoconstriction with decreased blood flow

Explanation: Constriction of splanchnic vessels may increase volume of blood actively circulating and this may help in perfusing the muscles by as much as 30%.